A woman attends the antenatal clinic with a history of exposure to rubella infection at a period of amenorrhea of 10 weeks. Her immune status is not known.What is the next step in the management?
1. Administer acyclovir if the mother develops symptoms of rubella
2. Administer immunoglobulin to the mother
3. Advice termination of pregnancy if she contacts rubella
4. Test maternal serum for rubella-specific IgG and IgM antibodies immediately and after 3 weeks

Correct answer: 4. Test maternal serum for rubella-specific IgG and IgM antibodies immediately and after 3 weeks

Explanation: Ans. is d, i.e. Test maternal serum for rubella specific IgG and IgM antibodies immediately and after 3 weeks.Patient's immune status is not known. The first step in the management is to test maternal serum for rubella-specific IgG and IgM antibodies immediately to determine the immune status and after 3 weeks to detect the occurrence of infection. Presence of rubella-specific IgG antibodies in the initial serum sample indicates immunity. Presence of IgM antibodies in the first or second samples indicates acute infection with a high risk of congenital rubella.